Which of the following is true about CLL treatment-
1. Should be offered to all patients
2. Can be withheld in asymptomatic patients
3. Is curative
4. Combination chemoradiotherapy should be given in patients above 50 years age

Correct answer: 2. Can be withheld in asymptomatic patients